Tuberculin test is:
1. Intramuscular
2. Intradermal
3. Subcutaneous
4. None

Correct answer: 2. Intradermal

Explanation: Ans. is. 'b' i. e., Intradermal